Drug with a first dose effect:
1. Yohimbine
2. Verapamil
3. Dopamine
4. Prazosin

Correct answer: 4. Prazosin

Explanation: (Ref: Katzung, 14th ed. pg. 159)First dose effect is sudden severe hypotension while changing position from lying to a standing position after first dose intake of alpha blocker, ACE inhibitor.Most common class of drug for causing first dose effect: selective alpha-1 blockerSelective alpha-1 blocker Drugs:# Prazosin: Most common among all# Terazosin# Doxazosin# AlfuzosinOther drugs that can cause first dose effect is: Phentolamine, Tolazoline, Phenoxybenzamine.